All the following are causes of hematuria in a child except:
1. PCKD
2. Porphyria
3. Renal vein thrombosis
4. Idiopathic hypercalciuria

Correct answer: 2. Porphyria

Explanation: Cause of Persistent microscopic hematuria include idiopathic hypercalciuria. Porphyria does not produce hematuria. Ref: Nelson, 18th Edition, Page 2169